A 19 year old Prabhu complains of pain whilst hunching his left shoulder. Which of the following muscles is the chief protractor of scapula?
1. Serratus anterior
2. Rhomboidis major
3. Deltoid
4. Pectoralis major

Correct answer: 1. Serratus anterior

Explanation: Serratus anterior along with petoralis minor is the chief protractor of scapula (helps in advancement of scapula to anterior position on the thoracic cage). Upper fibers of serratus anterior inserted onto the superior angle of scapula stabilize the scapula during initial stages of shoulder abduction.Middle fibers that insert onto the vertebral border of scapula are important in protraction of scapula.Lower fibers insert onto the inferior angle of scapula and act mostly as an upward rotator of the scapula during abduction.